Bilateral balanced occlusion is based on the concept given by
1. Von Spee and Monson
2. G.V. Black
3. Sturdevant
4. Irian

Correct answer: 1. Von Spee and Monson